On radiography widened duodenal 'C' loop with irregular mucosal pattern on upper gastrointestinal barium series is most likely due to:
1. Chronic pancreatitis
2. Carcinoma head of pancreas
3. Duodenal ulcer
4. Duodenal ileus

Correct answer: 2. Carcinoma head of pancreas

Explanation: Ans. Carcinoma head of pancreas